Lipid lowering drug that significantly reduces lipoprotein–a  levels is?
1. Fenofibrate
2. Gemfibrosil
3. Rosuvastatin
4. Nicotinic acid

Correct answer: 4. Nicotinic acid